Consider the following, which is/are used as food preservatives?
1. Ethylene dibromide & Potassium meta-bisulphate
2. Sodium benzoate
3. Potassium meta-bisulphate & Sodium benzoate
4. Ethylene dibromide / Potassium meta-bisulphate & Sodium benzoate

Correct answer: 3. Potassium meta-bisulphate & Sodium benzoate

Explanation: Sodium benzoate is a substance which has the chemical formula C6H5COONa. It is a widely used food preservative, with an E number of E211. It is the sodium salt of benzoic acid and exists in this form when dissolved in water. It can be produced by reacting sodium hydroxide with benzoic acid. Sodium metabisulfite or sodium pyrosulfite (IUPAC spelling; Br. E. sodium metabisulphite or sodium pyrosulphite) is an inorganic compound of chemical formula Na2S2O5. The substance is sometimes referred to as disodium metabisulfite. It is used as a disinfectant, antioxidant, and preservative agent. Ref : Internet